CD 3 receptor is seen in -
1. T cells
2. B cells
3. Macrophages
4. Eosinophils

Correct answer: 1. T cells

Explanation: Ans. is 'a' i.e., T cells CD markero Lymphocytes and other leukocytes have a number of surface antigens or marker - leukocyte differentiation antigen.o A particular leucocyte differentiation antigen has been given a CD (cluster of differentiation) number on the bases of its reaction with a cluster of monoclonal antibodies,o These markers reflect the stage of differentiation and functional properties of cell.Leucocyte differentiation antigens (a few examples)CD numberCell type associationCD 1CD 2CD 3CD 4CD 8CD 19Thymocytes, Langerhans cellsT cell SRBC receptorT cell antigen receptor complexHelper T cell (receptor for HIV)Suppressor/cytotoxic T cellsB cells